Most common site of hypospadias:
1. Proximal to Glans
2. Scrotum
3. Perineum
4. Mid penis

Correct answer: 1. Proximal to Glans

Explanation: Ans. (a) Proximal to GlansRef Page 1478, Bailey and Love 27th editionHypospadias:* Incidence- 1 in 200* MC congenital anomaly of urethra* External meatus opens on under side (Ventral surface)* Dorsal Hood and ventral chordee seen.* MC site of opening- proximal to the normal opening in Glans Penis (MC)* Others: Coronal, penile, Penoscrotal, Perineal.* Most severe type is perineal, luckily it is the rarest also.* Procedure of choice: Tabularized incised plate Urethroplasty for distal hypospadias for proximal hypospadias Foreskin is used.* As per Bailey Surgery done before 18 months (correct answer is 6 months)